Which among the following is false regarding acute conjunctivitis?
1. Vision is not affected
2. Topical Antibiotic is the treatment of choice
3. Pupil is not affected
4. Cornea is infiltrated

Correct answer: 4. Cornea is infiltrated

Explanation: In acute conjunctivitis, the cornea is not involved. If it gets infiltrated then it is called keratoconjunctivitis. Acute conjunctivitis can be caused by numerous bacteria. Symptoms are hyperemia, lacrimation, irritation, and discharge. The diagnosis is clinical. Most bacterial conjunctivitisis acute Chronic bacterial conjunctivitis may be caused by Chlamydia and rarely Moraxella